What will be the most likely diagnosis in a 70 year old male with hypo-aesthesia of external auditory meatus (Histelberg's sign positive)?
1. Mastoiditis
2. Bells palsy
3. Vestibular schwannoma
4. Middle ear cholesteatoma

Correct answer: 3. Vestibular schwannoma

Explanation: Hitzelberg's sign refers to hypo-aesthesia of the posterosuperior aspect of the external meatus. It is due to involvement of nervus intermedius (sensory root of VIIth nerve).